A-65 years alcoholic suffering from diabetes has a flexion deformity at the right little finger over the metacarpophalangeal joint of around 15 degree. The ideal management for him would be-
1. Observation
2. Percutaneous fasciotomy
3. Subtotal fasciectomy
4. Total fasciectomy

Correct answer: 1. Observation

Explanation: Treatment of Dupuytren' contracture : An elderly patient with mild contracture does not need any treatment. If the deformity is significant and hampers the activity of the patient, excision of the palmar aponeurosis may be required. Reference- Maheshwari- 5th edn- pg no 302.